Cadmium causes:
1. Proximal tubular necrosis
2. Distal tubular necrosis
3. Polyneuritis
4. Cirrhosis

Correct answer: 1. Proximal tubular necrosis

Explanation: Ans. Proximal tubular necrosis